Antenatal mother with epilepsy on phenytoin therapy must be given:
1. Folic acid supplementation
2. Vitamin B12 supplementation
3. Vitamin B6 supplementation
4. Vitamin A supplementation

Correct answer: 1. Folic acid supplementation

Explanation: Ans. (a) Folic acid supplementationRef: D. C Dutta 8th ed./ 585* Use of anti- epileptic drugs like phenytoin, valproate and even phenobarbitone has been shown in pregnancy to contribute to acquire folic acid deficiency.* If a lady is deficient in folic acid at the time of her pregnancy, then the baby most likely will born with neural tube defect.* Traditionally we study that folic acid should be taken peri-conceptionally 2 months before and 3 months later to pregnant status at dose of 400 micrograms.* However with the use of anti-epileptics drugs like phenytoin, valproate etc. the dose of folic acid needs to be supplemented at a dose of 4mg once per day.